The lower blood mercury level at which the earliest non specific symptom starts appearing at:
1. 25 ng/ml
2. 35 ng/ml
3. 40 ng/ml
4. 45 ng/ml

Correct answer: 2. 35 ng/ml